B/L symmetrical Hilar lymphnode seen in:
1. Sarcoidosis
2. Tuberculosis
3. Leprosy
4. Wegener's granulomatosis

Correct answer: 1. Sarcoidosis

Explanation: Ans. Sarcoidosis